Sprengel's shoulder associated with?
1. Hemivertebra
2. Klippel-Feil anomaly
3. Cervical spina bifida
4. All of the above

Correct answer: 4. All of the above

Explanation: Ans DSprengel shoulder may be associated with - cervical vertebral fusion, hemivertebrae, omovertebral bone, spina bifida , scoliosis.